One of the following is not a compulsive and habit forming disorder
1. Kleptomania
2. Pyromania
3. Nymphomania
4. Pathological gambling

Correct answer: 3. Nymphomania

Explanation: Nymphomania is the condition of excessive sexual desire in females. It is not an impulse control disorder.